Common cold is caused primarily by:
1. Viruses
2. Bacteria
3. Fungi
4. Allergy

Correct answer: 1. Viruses

Explanation: Common cold/coryza/Acute Rhinitis is primarily caused by viruses, e.g. Adenovirus, Picorna virus, Rhinovirus, Coxsackie and ECHO viruses. Secondary Invasion by Bacteria Occurs Later.